Most common cause of breech presentation:
1. Contrcted pelvis
2. Hydramnios
3. Prematurity
4. Oligohydramnios

Correct answer: 3. Prematurity

Explanation: Prematurity